Lamina densa attached to the underlying connective tissue by
1. Anchoring fibres
2. Hemidesmosomes
3. Desmosomes
4. Laminin

Correct answer: 1. Anchoring fibres